A pregnant female got infected with rubella virus at 22 weeks of pregnancy. The management of the Patient should be?
1. Rubella vaccination
2. Rubella immunoglobulin IM
3. Antiviral drug
4. Reassurance

Correct answer: 4. Reassurance

Explanation: Ans. is 'd' i.e., Reassurance.Women with a serologic diagnosis of rubella infection in the first trimester should be counseled about the likely occurrence of an adverse outcome of the pregnancy.The given pregnant woman is infected after 20 weeks (at 22 weeks) and her immunization status has not been mentioned - She should be counseled appropriately that chances of congenital rubella syndrome are negligible.